Psychosurgical procedures are used in the treatment of all of these mental disorders except
1. Uncontrollable aggression
2. Treatment resistant depression
3. Treatment resistant dissociative disorder
4. Treatment resistant OCD

Correct answer: 3. Treatment resistant dissociative disorder

Explanation: (C) Treatment resistant dissociative disorder # PSYCHOSURGERY> Psychosurgery is defined {by APA's Task Force) as, a surgical intervention, to sever fibers connecting one part of brain with another, or to remove, destroy or stimulate brain tissue, with the intent of modifying, behavior, thought or mood disturbances, for which there is no underlying organic pathology (i.e., the disturbance is 'functional').> Indications: The current indications for psychosurgery include the following:1. Chronic, severe, incapacitating depression, which has not responded to all available treatments.2. Chronic, severe, incapacitating obsessiveoompulsive disorder (OCD), which has not responded to all available treatments.3. Chronic, severe, incapacitating anxiety disorder, which has not responded to all available treatments.4. Schizophrenia with severe depressive component, which has not responded to all available treatments.5. Severe, pathological and uncontrolled aggressive behavior associated with a psychiatric or neurological illness (e.g. temporal lobe epilepsy).